Which of the following is not the branch of maxillary branch of external carotid artery
1. Inferior alveolar
2. Middle meningeal
3. Posterior tympanic
4. Anterior tympanic

Correct answer: 3. Posterior tympanic

Explanation: The posterior tympanic artery is a branch of the posterior auricular artery which is a branch of the external carotid artery.The maxillary artery is divided into three portions by its relation to the lateral pterygoid muscle:First (mandibular) part: posterior to lateral pterygoid muscle Branches:Deep auricular artery Anterior tympanic artery Middle meningeal artery Accessory meningeal artery Inferior alveolar artery Second (pterygoid or muscular) part: within the lateral pterygoid muscle Anterior deep temporal branchesPosterior deep temporal branchesPterygoid branchesMasseteric arteryBuccinator arteryThird (pterygopalatine) part: anterior to lateral pterygoid muscle Posterior superior alveolar arteryInfraorbital artery Artery of the pterygoid canal Pharyngeal artery Greater (descending) palatine artery Sphenopalatine artery - terminal branch Reference: Chaurasia; 6th edition